Depression is a feature of which of the following condition -a) Hypopituitarismb) Hyperthyroidismc) Hypothyroidismd) Hypoglycemia
1. ab
2. abc
3. acd
4. bcd

Correct answer: 2. abc